Patch testing is done for -
1. Atopic dermatitis
2. Irritant contact dermatitis
3. Allergic contact dermatitis
4. Discoid dermatitis

Correct answer: 3. Allergic contact dermatitis

Explanation: patch testing is the only scientific method to detect the cause of alergic contact dermatitis. patch test consists if allergens in petrolatum in proper concentration applied in cups and fixed with a tape to the upper back for 48hrs. the reading is taken after 48hrs, 72hrs and after 1 week if the test is positive the raection site produces vesicles ,bulle or erythematous papules. IADVL TEXTBOOK OF DERMATOLOGY, CONTACT DERMATITIS PAGE 581